HLA associated with rheumatoid arthritis is ?
1. HLA B27
2. HLA DR 4
3. HLABI9
4. HLA DR2

Correct answer: 2. HLA DR 4

Explanation: Ans. is `b' i.e. HLA DR4